Patient with deficiency of Vitamin K, pre surgical
test required is
1. PT time
2. Bleeding time
3. Clotting time
4. bleeding index

Correct answer: 1. PT time